Which muscle is intoor of eye
1. Superior rectus
2. Medial rectus
3. Inferior rectus
4. Inferior oblique

Correct answer: 1. Superior rectus

Explanation: A. i.e. Superior rectus